All are fibric acid derivatives except -
1. Clofibrate
2. Gemfibrozil
3. Fenofibrate
4. Lovastatin

Correct answer: 4. Lovastatin

Explanation: Ans. is 'd' i.e., Lovastatin Fibric acid derivatives are clofibrate, gemfibrozil, bezafibrate, fenofibrate.